True about proximal fragment in supratrochantric fracture is ?
1. Flexion
2. Abduction
3. External rotation
4. All the above

Correct answer: 4. All the above

Explanation: Ans. is 'd' i.e., All of the above Deformity in cases of fracture subtrochanteric femur The proximal femur is surrounded by very large and powerful muscles. In the case of a fracture, their spatial arrangement, combined with their origin and insertion, results in a very characteristic deformity. The proximal fragment, as a result of contraction of the abductors, the external rotators, and the iliopsoas muscle, is flexed, abducted, and externally rotated. The adductors cause the shaft to be adducted, and the force of gravity causes the distal fragment to fall into some external rotation. All the muscles that span the fracture combine to cause shortening. Thus, the resultant deformity is one of an anterior and lateral bowing of the proximal shaft, combined with considerable shortening and variable degrees of external rotation.